Contact bleeding is seen in all EXCEPT
1. Cervical cancer
2. Erosion of the cervical mucous
3. Contact ulcer of the cervix
4. Mucinous cyst of the overy

Correct answer: 4. Mucinous cyst of the overy

Explanation: (Mucinous cyst of ovary): (575- Shows 15th edition)Contact bleeding (Bleeds on touch) is seen in* Cervical cancer* Erosion of the cervical mucous* Contact ulcer of the cervixMucinous cvstadenoma of the ovary - multiloculated cysts lined by epithelium resembling the endocervix* Mucinous ovarian cyst is often unilateral* Bilateral tumours are often metastatic from the GIT mainly mucocele of appendix or primary adenocarcinoma of appendix* Common in age between 30 and 60 years* If the tumour ruptures it may lead to formation of pseudomyxoma peritonei and the viscera shows extensive adhesions